Galactosaemia commonly is due to deficiency of-
1. Galactose-1 phosphate uridyl transferase
2. Galactose-1 phosphatase
3. Glucose-1 phosphatase
4. Glucose-6 phosphatase

Correct answer: 1. Galactose-1 phosphate uridyl transferase

Explanation: A i.e. Galactose-1-Phosphate uridyl transferase